Bitemporal hemianopia is associated with lesions of the:
1. Optic tract
2. Central chiasma
3. Lateral parts of chiasma
4. Optic radiations

Correct answer: 2. Central chiasma

Explanation: Ans. Central chiasma